Le Fort's operation is done in :
1. Elderly menopausal patients with advanced prolapse
2. Young woman suffering from second or third degree prolapse
3. Women under 40 years who are desirous of retaining their menstrual and reproduction function
4. Women over 40 years, those who have completed their families

Correct answer: 1. Elderly menopausal patients with advanced prolapse

Explanation: Elderly menopausal patients with advanced prolapse